Not a contact poison
1. DDT
2. Pyretheum
3. Sodium fluoride
4. None of the above

Correct answer: 3. Sodium fluoride